Muscle relaxant of choice in renal and hepatic failure is:
1. Cis-atracurium
2. Vecuronium
3. Rocuronium
4. Rapacuronium

Correct answer: 1. Cis-atracurium

Explanation: Ans. (A) Cis-atracurium(Ref: Katzung 9th/e p432; KDT 8th/e p380)Atracurium and cis-atracurium are muscle relaxants of choice for renal and hepatic failure patients.